Which radiological procedure is used for studying vesico-ureteric reflux?
1. Ascending pyelogram
2. Cystogram
3. Intravenous urogram
4. Micturition cystourethrogram

Correct answer: 4. Micturition cystourethrogram

Explanation: The diagnosis of vesico ureteric reflux is made using micturition cystourethrogram. Other techniques used in diagnosing vesico ureteric reflux are simple or delayed cystography or voiding cinefluoroscopy. In a case of vesico ureteral reflux, cystogram may show one of the following findings: Persistently dilated lower ureter, areas of dilatation in the ureter, ureter visualized throughout its entire length shows, presence of hydroureteronephrosis with a narrow juxtavesical ureteral segment or changes of healed pyelonephritis. Ref: Smith's General Urology, 17e, Chapter 12